Cytotoxic drugs are treated/disposed by ?
1. Autoclaving
2. Chemical disinfection
3. Incineration
4. Microwaving

Correct answer: 3. Incineration

Explanation: Ans. is 'c' i.e., Incineration Cytotoxic drugs are category No. 5 wastes which are destroyed by incineration and disposed by secured landfills.